Hypsarrhythmia EEG is a characteristic feature of -
1. West syndrome
2. Lennox - Gastaut Syndrome
3. Breath holding spells
4. Herpes simplex encephalitis

Correct answer: 1. West syndrome

Explanation: Hypsarrhythmia on EEG: --> Continuous, high-amplitude, arrhythmic, asynchronous delta activities with interspersed independent, multiple spikes. --> Feature of WEST SYNDROME. WEST SYNDROME: --> Triad of: -->DOC- ACTH injections --> DOC - for west syndrome in a child with tuberous sclerosis- Vigabatrin